In rheumatoid arthritis which part of spinal column is most commonly involved ?
1. Cervical vertebra
2. Dorsal vertebra
3. Lumbar vertebra
4. Sacral vertebra

Correct answer: 1. Cervical vertebra

Explanation: Upper cervical spine is involved in RA Refer Harrison 17the p 2083/maheswari 9th ed